Autoantigen is ?
1. Blood group antigen
2. Forssman antigen
3. Both
4. None

Correct answer: 4. None